Neither raised nor depressed is
1. Macule
2. Plaque
3. Nodule
4. Papule

Correct answer: 1. Macule

Explanation: Macule is a flat lesion Macule is better seen than felt